Proved association of celiac sprue is with:
1. Dermatitis herpetiformis
2. Scleroderma
3. Pemphigus
4. Pemphoid

Correct answer: 1. Dermatitis herpetiformis

Explanation: Answer is A (Dermatitis Herpetiformis) Celiac disease is associated with Dermatitis Herpetiformis Dermatitis Herpetiformis is regarded as cutaneous variant of celiac disease. Almost all patients with dermatitis N as Herpetiformis have evidence of celiac disease on intestinal biopsy' - CMD Associations of Celiac Disease (CMDT & Harrisons) Dermatitis Herpetiformis Other autoimmune disease including: (CMDT) - Addison's disease - Grave's disease Diabetes mellitus- Type I (Harrisons) - Myaesthenia Gravis - Slogren syndrome - Atrophic Gastritis - Pancreatic insufficiency IgA deficiency (Harrisons) Lymphomas (Harrisons) Note Celiac disease is associated with an increased risk of cancer including Lymphomas (NHL, Intestinal T cell Lymphoma) The possibility of Lymphoma must be considered whenever a patient with celiac sprue previously doing well on a gluten free diet is no longer responsive to gluten free diet' - Harrisons